A 16-year-old girl comes to the hospital with chest pain and respiratory distress. On physical examination, the patient is short of breath, wheezing and gasping for air. A prominent pansystolic heart murmur and a prominent third heart sound are heard on cardiac auscultation. An X-ray study of the chest shows marked enlargement of the heart. The patient expires despite intense supportive measures. At autopsy, microscopic examination of the myocardium discloses aggregates of mononuclear cells arranged around centrally located deposits of eosinophilic collagen. What is the appropriate diagnosis?
1. Acute bacterial endocarditis
2. Rheumatic heart disease
3. Subacute bacterial endocarditis
4. Viral myocarditis

Correct answer: 2. Rheumatic heart disease

Explanation: Focal inflammatory lesions are found in various tissues in patients with acute rheumatic fever. These inflammatory lesions are most distinctive within the heart, where they are termed "Aschoff bodies." They consist of foci of eosinophilic material surrounded by T lymphocytes, occasional plasma cells and plump macrophages called "Anitschkow cells." These distinctive cells have abundant cytoplasm and central round-to-ovoid nuclei, in which the chromatin is disposed in a central, slender, wavy ribbon(caterpillar cells). These lesions are pathognomonic for rheumatic fever and are not encountered in the other choices. Aschoff nodule